Not useful in clostridium difficile colitis
1. Clindamycin
2. Metronidazole
3. Fidaxomycin
4. Fecal microbiota transplantation

Correct answer: 1. Clindamycin

Explanation: Clindamycin cause C.difficile colitis.